A patient presented with weakness of the right side of the face with loss of pain and temperature , Pain and temperature sensation of the left leg is lost The lesion is most likely located
1. lateral poms
2. medial pons
3. lateral medulla
4. Medial medulla

Correct answer: 1. lateral poms

Explanation: RULE OF 4 weakness of face =palsy of facial muscles of=7th nerve affected =same side=7th NERVE from PONS Loss of pain, temperature from force = Trigeminal Nerve affected=Lesion in lateral side and ipsilateral Loss of pain , temperature in body = UL, LL=spinothalamic tract affected= Lesion in C/L side and also lateral side REF: BD CHAURASIA